Cervlx develops from :
1. Wolffian duct
2. Mullerian duct
3. Mesonephros
4. Metanephros

Correct answer: 2. Mullerian duct

Explanation: Mullerian duct